Acquired, symmetric hyper pigmentation of the sun exposed skin of the face & neck which is strongly associated with pregnancy & use of oral contraceptives is called as
1. Melanoma
2. Cafe-au-Lait-spots
3. Freckle
4. Melasma

Correct answer: 4. Melasma